All are produced exclusively by liver, except
1. Factor VII.
2. Prothrombin.
3. Globulin.
4. Albumin.

Correct answer: 3. Globulin.

Explanation: Ans. is 'c' i.e. globulin The point to be noted here is that globulin is not exclusively synthesized by liver.Globulin is made up of 3 components and only 2(a, b) synthesized in liver. The third one, i.e. Gamma component is synthesized separately in lymphocytes.Other proteins exclusively synthesized by liver are:1. Serum albumin.2. Coagulation factors- with the exceptions of factor VIII the blood clotting factors are exclusively synthesized in the liver (factor VIII is partially synthesized in liver, Factor VIII coagulant (VIII: C) is synthesized in liver and factor VIII Von Willebrand factor is synth. by vascular endothelial cells)